Sauce and cheese retinopathy is seen in
1. Toxoplasmosis
2. Congenital rubella
3. CMV
4. Measles

Correct answer: 3. CMV

Explanation: Cytomegalovirus (CMV) Retinitis is an acquired immunodeficiency syndrome (AIDS)-related opportunistic infection that can lead to blindness Ref AK khurana 6/e